Exotoxins are:
1. Lipid-polysaccharide complex
2. Protein compound
3. Lipoprotein
4. None

Correct answer: 2. Protein compound